Acellular pertusis vaccine contains-
1. Pertactin, flagillary hemagglutinin, cytotoxin, endotoxin
2. Pertactin, flagillary hemagglutinin, fimbriae, endotoxin
3. Pertactin, cytotoxin, fimbriae, pertusis toxin
4. Flagillary hemagglutinin, pertusis toxin, fimbriae

Correct answer: 4. Flagillary hemagglutinin, pertusis toxin, fimbriae